Antimicrobial agent acting by inhibition of cell wall synthesis is :
1. Erythromycin
2. Tetracycline
3. Lomefloxacin
4. Cefepime

Correct answer: 4. Cefepime

Explanation: Inhibit cell wall synthesis: Penicillin Cephalosporins, Cycloserine, Vancomycin Bacitracin Cefepime Developed in 1990s, this 4th generation cephalosporin has antibacterial spectrum similar to that of 3rd generation compounds, but is highly resistant to Beta-lactamases, hence active against many bacteria resistant to the earlier drugs. Ps. aeruginosa and Staph. aureus are also inhibited. Due to high potency and extended spectrum, it is effective in many serious infections like hospital-acquired pneumonia, febrile neutrorenia, bacteraemia, septicaemia, etc. ESSENTIALS OF MEDICAL PHARMACOLOGY K.D.TRIPATHI SIXTH EDITION PAGE NO:668,707